Osteoblastic secondaries arises from:
1. Renal carcinoma
2. Thyroid carcinoma
3. GIT carcinoma
4. Prostate carcinoma

Correct answer: 4. Prostate carcinoma

Explanation: Ans. D i.e. Prostate carcinoma Metastases to bones are usually osteolytic. Osteoblastic lesions are uncommon.